A 40 year old female patient complains of weakness and loss of appetite. Patient is a known case of non-hodgkin’s lymphoma. Lymph node examination shows involvement of Waldeyer’s ring. The clinical staging for this  patient is?
1. Stage I
2. Stage II
3. Stage III
4. Stage IV

Correct answer: 1. Stage I